Which of the following phospholipid has antigenic activity?
1. Plasmalogen
2. Cardiolipin
3. Phosphatidylcholine
4. Sphingomyelin

Correct answer: 2. Cardiolipin

Explanation: Classification of PhospholipidsGlycerophosphatides: In this glycerol is the alcohol group. Examples: Phosphatidylethanolamine (cephalin), phosphatidylcholine (Lecithin), phospatidylserine, plasmalogens, phosphatidic acid, cardiolipins, and phosphatides.Phosphoinositides: In this group, inositol is the alcohol, e.g. phosphatidylinositol (lipositol).Phosphosphingosides: Alcohol present is sphingosine (also called as sphingol), an unsaturated amino alcohol, e.g. sphingomyelin.CardiolipinA phospholipid found in mitochondria (inner membrane) and bacterial wall. It is formed from phosphatidylglycerol. Chemically, it is diphosphatidyl glycerol. On Hydrolysis: Cardiolipin yields: 4 mols of fatty acids + 2 mols of phosphoric acid + 3 mols of glycerol (Fig. 4.19).This the only phosphoglyceride that possesses antigenic properties.Ref: M.N. Chatterjea - Textbook of Biochemistry, 8th edition, page no: 55,57